Canine placed anterior to orbital plane
1. Protraction
2. Abstraction
3. Attraction
4. Expansion

Correct answer: 1. Protraction